During neonatal resuscitation, absolute contraindication for bag and mask Ventilation is __________
1. Neonatal Jaundice
2. Neonatal seizures
3. Congenital diaphragmatic hernia
4. Necrotising Enterocolitis

Correct answer: 3. Congenital diaphragmatic hernia

Explanation: Only Contraindication for Bag and Mask Ventilation is Congenital diaphragmatic hernia. when air is pushed into stomach it causes distension of stomach which lies in thoracic cavity and ↑ respiratory distress